Coconut cake rectum is seen in
1. T. trichura
2. E. Vermicularis
3. A. Duodenale
4. N. Americanus

Correct answer: 1. T. trichura

Explanation: T. trichura also known as whipworm causes coconut cake rectum in children.